Frequent blushing (“erethism”) is associated with : -
1. Mercury
2. Lead
3. Phenolic acid
4. Carbolic acid

Correct answer: 1. Mercury

Explanation: Mercury
Mechanism of toxicity.
Mercury reacts with sulfhydryl (SH) groups, resulting in enzyme inhibition and pathologic alteration of cellular membranes.
Clinical presentation. Acute inhalation
Severe chemical pneumonitis and noncardiogenic pulmonary edema.
Acute gingivostomatitis may also occur.
Chronic intoxication
Classic triad
Neuropsychiatric disturbances
Gingivostomatitis. Metallic taste
Frequent blushing (“erethism”).
Pain in the extremities,often accompanied by pinkish discoloration and desquamation (“pink disease”)
Reference – Poisoning & Drug Overdose by Kent R. Olson 3th- 213